Which of the following is primarily bacteriostatic?
1. Ciprofloxacin
2. Chloramphenicol
3. Vancomycin
4. Rifampicin

Correct answer: 2. Chloramphenicol

Explanation: BASED ON TYPE OF ACTIVITY: Antimicrobial drugs is classified into: Primarily bacteriostatic: Sulfonamides, Erythromycin Tetracyclines ,Ethambutol Chloramphenicol ,Clindamycin Linezolid Primarily bactericidal: Penicillins, Cephalosporins Aminoglycosides ,Vancomycin Polypeptides, Nalidixic acid Rifampinl Ciprofloxacin Isoniazid, Metronidazole Pyrazinamide ,Cotrimoxazole ESSENTIALS OF MEDICAL PHARMACOLOGY K.D.TRIPATHI SIXTH EDITION PAGE NO:669